Hypercalcemia is most commonly associated in which of the following cancers?
1. Renal cell cancer
2. Carcinoma stomach
3. Squamous cell carcinoma of lung
4. Hepatocellular carcinoma

Correct answer: 3. Squamous cell carcinoma of lung

Explanation: The most common neoplasm associated with hypercalcemia is squamous cell carcinoma. Other tumors often associated with paraneoplastic hypercalcemia are carcinomas of the lung, kidney, breast and ovary. Paraneoplastic hypercalcemia is caused by parathyroid hormone-related protein (PTHRP) secreted by these tumours. PTHRP increases bone resorp-tion and renal calcium uptake, while inhibiting renal phosphate transport, effects that raise serum calcium levels.